MC.murray osteotomy used in
1. CTEV
2. Fracture neck of femur
3. Supracondylar humerus fracture
4. Condylar fracture of femur

Correct answer: 2. Fracture neck of femur